Interosseous recurrent artery is a branch of
1. Anterior interosseous artery
2. Posterior interosseous artery
3. Common interosseous artery
4. Radial artery

Correct answer: 2. Posterior interosseous artery

Explanation: Posterior interosseous artery originates from common interosseous branch of ulnar artery. It gives a branch - recurrent interosseous artery to the vascular network around the elbow joint. Ref : Gray's Anatomy The Anatomical Basics of Clinical Practice 41 e pg 778.